Caffey disease is
1. Renal osteodystrophy
2. Infantile cortical hyperostosis
3. Osteomyelitis of jan in children
4. Chronic osteomyelitis in children

Correct answer: 2. Infantile cortical hyperostosis

Explanation: Infantile cortical hyperostosis Also called as Caffey's disease Rare disease of infants and young childrenStarts during the first few months of life with painful swelling over the tubular bones and/or the mandible. The child may be feverish and irritable, refusing to move the affected limb. Infection may be suspected Elevated ESRX-rays - Periosteal new-bone formation resulting in thickening of the affected bone. (Refer: Mohindra's Fundamentals of Orthopedics, 2nd edition, pg no. 382, 488, 520)